Reduction in flow of saliva is not generally seen in:
1. Elderly diabetics
2. b)Patient undergoing radiation therapy
3. Patients suffering from parkinsonism
4. Patients on phenothiazine drugs

Correct answer: 3. Patients suffering from parkinsonism